An 8 years old child suffering from recurrent attacks of polyuria since childhood presents to the pediatrics OPD. On examination, the child has short stature. Vitals and B.P. are normal. S. Creatinine - 6 mg/dL, HCO3 - 16 meq/L, S Na+ - 134 meq/L. On USG, bilateral small kidneys are seen. Diagnosis is:
1. Reflux nephropathy
2. Nephronophthisis
3. Polycystic kidney disease
4. Medullary cystic kidney disease

Correct answer: 2. Nephronophthisis

Explanation: b. Nephronophthisis(Ref: Nelson's 20/e p 2537)In this case bilateral small kidneys with clinical features of renal failure & polyuria are suggestive of Nephronophthisis.